Cavity formation in a tooth, due to dental caries is due to:
1. Destructive potential of streptococcus mutans
2. Destructive potential of lactobacillus acidophilus
3. Lateral spread of caries along DE junction and weakening of the outer covering enamel
4. Mastectomy force and unrelated to the extent of carious process

Correct answer: 3. Lateral spread of caries along DE junction and weakening of the outer covering enamel